Failure rate of contraceptive method is determined by
1. Pearl index
2. Half life
3. Number of accidental pregnancies
4. Period of contraceptive practice continued

Correct answer: 1. Pearl index

Explanation: Two methods have been used to measure contraceptive efficacy: 1. Pearl index and 2. Life table analysis Pearl index is defined as the number of failure rates per 100 woman years of exposure Reference : Park's textbook of preventive and social medicine, 23rd edition, Page no: 510